CD4 lymphocytes (helper cells) recognize -
1. HLA class I antigen
2. HLA class II antigen
3. HLA class III antigen
4. None of the above

Correct answer: 2. HLA class II antigen

Explanation: Class II MHC antigens have single locus as HLA-D. - these antigens have further 3 loci: DR, DQ, and DP. Class II MHC is identified by B cells and CD4+ cells.( T helper cells). ReReference:arsh mohan textbook pathology, 7th edition, pg no:49